Drugs used for recurrent depressive episodes -a) Imipramineb) Carbamazepine c) Fluoxetined) Na valproate
1. a
2. bc
3. ac
4. b

Correct answer: 3. ac

Explanation: Amongst the given options, Imipramine and Fluoxetine are antidepressants.
Carbamazepine and Valproate are used for prophylaxis of BPD (not for recurrent unipolar depression).